Drug X is normally administered to patients at a rate of 50 mg/hour. Elimination of the drug X from body takes place as:
– Hepatic Metabolism 10%
– Biliary Secretion 10%
– Renal Excretion 80%
This drug has to be administered to a 65 years old patient Uttaam Singh, with a GFR of 60 ml/min. (assuming normal GFR is 120ml/min). Liver and biliary functions are normal in this patient. What should be the dose rate of drug X in this patient?
1. 50 mg/hour
2. 30 mg/hr
3. 25 mg/hr
4. 100 mg/hr

Correct answer: 2. 30 mg/hr